A bone bruise or contusion is best identified using:
1. Conventional X-ray
2. CT scan
3. MRI scan
4. PET scan

Correct answer: 3. MRI scan

Explanation: Ans. MRI scan